Organ of corti is situated in
1. Basilar membrane
2. Utricle
3. Saccule
4. None of the above

Correct answer: 1. Basilar membrane

Explanation: Basilar membrane which support the organ of corti.